LBW is associated with increased risk of ____ in adult life
1. Hypertension
2. Stroke
3. Type 2 DM
4. All of the above

Correct answer: 4. All of the above

Explanation: Low birth weight (LBW)(<2.5Kg) is associated with an increased risk of hypertension, stroke, and type 2 diabetes in adulthood. The risk is exacerbated by low weight gain during the first 2 years of life. Ref: Nelson textbook of pediatrics 21st edition Pgno: 335